During the following procedure, optimum interval between uterine incision and delivery should be less than ______ seconds.
1. 30 seconds
2. 45 seconds
3. 60 seconds
4. 90 seconds

Correct answer: 4. 90 seconds

Explanation: Ans. D 90 secondsRef: Datta, 8th ed. pg. 673The image shows LSCS being performed, with the head being delivered by hooking fingers carefully between the lower uterine flap. The head is delivered by elevation and flexion using the palm as fulcrum and the optimum time between the uterine incision and delivery should be less than 90 seconds.